Steroid involved in water balance:
1. Oestrogen
2. Testosterone
3. Aldosterone
4. Vit D

Correct answer: 3. Aldosterone

Explanation: Ans: c (Aldosterone)Ref: Ganong, 23rd ed Pg. 357Aldosterone is the steroid that is mainly involved in water balance.AldosteroneIt increases the reabsorption of Na and excretion of K .It acts on the kidney - primarily the Principal cells of the collecting duct. Stimuli for secretion -Rennin angiotensin systemIncreased K -Endothelin -Low sodium -Standing -Stress like anxiety, surgery, trauma and hemorrhage